A 19 year old boy fell from the motorbike on his shoulder. The doctor diagnosed him as a case of Erb's paralysis. All of the following signs and symptoms will be observed in this boy, EXCEPT?
1. Loss of abduction at shoulder joint
2. Loss of lateral rotation
3. Loss of pronation at radioulnar joint
4. Loss of flexion at elbow joint.

Correct answer: 3. Loss of pronation at radioulnar joint

Explanation: Due to Erb's paralysis there is damage of biceps brachii and supinator due to which there is loss of pronation of forearm. It is associated with loss of abduction at shoulder joint, loss of lateral rotation and loss of flexion at elbow joint and is not associated with loss of pronation at radioulnar joint.Erb's paralysis occur from damage at the Erb's point which is the meeting point of 6 nerves such as ventral rami of C5 and C6, suprascapular and nerve to subclavius of upper trunk and two divisions of upper trunk. Muscles paralysed are supraspinatus, deltoid, teres minor, infraspinatus, biceps brachii, brachialis, brachioradialis and supinator. PositionParalysis ofOveraction of Adduction of armSupraspinatus and deltoidAdductors of the shoulderMedial rotation of the armTeres minor and infraspinatusMedial rotators of the shoulderExtension of forearmBiceps brachii, brachialis and brachioradialisExtensors of elbowPronation of forearmBiceps brachii and supinatorPronators of forearm